Emergency contraceptive of choice is :
1. OCP
2. Danazol
3. Levonorgestrel
4. Mifepristone

Correct answer: 3. Levonorgestrel

Explanation: Levonorgestrol can be used as a single dose, can be given upto 120hrs following unprotected intercourse and no estrogenic side effects